Impetigo herpetiformes in pregnancy is treated with
1. Acyclovir
2. Acyclovir + antimicrobials for secondary infections
3. Systemic corticosteroids + antimicrobials for secondary infection
4. Systemic corticosteroids + acyclovir + antimicrobials for secondary infection

Correct answer: 3. Systemic corticosteroids + antimicrobials for secondary infection

Explanation: Generalized pustular psoriasis of pregnancy (impetigo herpetiformes) is treated with systemic steroids along with antimicrobials for secondary infection.